Hemotoxylin bodies seen in
1. SLE
2. PAN
3. Rheumatoid arthritis
4. Wegener's granulomatosis

Correct answer: 1. SLE

Explanation: Ref Robbins 9/e p218 Systemic lupus erythematosus (SLE) is a multisystem auto- immune disease of protean manifestations and variable clinical behavior. Clinically, it is an unpredictable, remit- ting and relapsing disease of acute or insidious onset that may involve virtually any organ in the body; however, it affects principally the skin, kidneys, serosal membranes, joints, and heart. Immunologically, the disease is associ- ated with an enormous array of autoantibodies, classically including antinuclear antibodies (ANAs). The clinical pre- sentation of SLE is so variable, with so many overlapping features with those of other autoimmune diseases (RA, polymyositis, and others), that it has been necessary to develop diagnostic criteria for SLE (Table 4-9). The diag- nosis is established by demonstration of four or more of the criteria during any interval of observation. Hematoxylin bodies are seen these are deposition of antigen antibody complexes in various tissues